By _____years all milk teeth are erupted –
1. 1.5
2. 2
3. 2.5
4. 3

Correct answer: 3. 2.5

Explanation: Between 20-30 months all milk (primary) teeth are erupted.